Which condition doctor is passive
1. Classical psychoanalysis
2. Psychoanalytic psychoanalysis
3. None
4. Both

Correct answer: 1. Classical psychoanalysis

Explanation: Feature Classical Psychoanalysis Psychoanalytic Psychotherapy Expressive Mode Supportive Mode Frequency 4to5 times/wk; 50-min to hour 1to3times/wk 1/2 to 1 hr 1 time/wk; 1/2 to 1 hr Duration Long-term; usually 3 to 5+ yrs Short- or long-term; several sessions to months or years Short- or intermittent long-term; single session to a lifetime Setting Patient primarily on the couch with analyst out of view Patient and therapist face-to-face; occasional use of couch Patient and therapist face-to-face; couch contraindicated Modus operandi analysis of all positive and negative transference and resistance; transference is facilitated; regression encouraged Partial analysis of dynamics and defenses; focus on current interpersonal events Formation of therapeutic alliance and real object relationship. Analyst/therapist role Absolute neutrality; reflector/mirror role (passive) Modified neutrality Neutrality suspended; direction, and disclosure Major techniques* Free association dynamic interpretation Limited free association; confrontation, clarification, and partial interpretation Suggestion,abreaction confrontation, clarification Adjunct treatment Primarily avoided; Psychotrophics used Psychotrophics used Reference: P.925chap 35.1Psychoanalysis and Psychoanalytic PsychotherapyKaplan & Sadock's Synopsis of psychiatry clinical Psychiatry, 10th Edition